'Keratic precipitates and cells' in anterior chamber are suggestive of?
1. Glaucoma
2. Scleritis
3. Conjunctivitis
4. Iridocyclitis

Correct answer: 4. Iridocyclitis

Explanation: Ans. D. Iridocyclitis. (Ref. Khurana ophthalmology 5th/pg. 271)Signs of anterior uveitis:a. Circumcomeal ciliary injectionb. Keratic precipitates (KP) are cellular deposits on the corneal endothelium. KP most form in mid and inferior zones of cornea.- endothelial dusting- Medium size KPs- Large KPs ("Mutton fat" Kps) - granulomatous uveitis.- Old KPsc. Cellsd. Aqueos flaree. Iris nodules (Koeppe and Busacca nodules)